Nothern blot is used for the separation of which of the following?
1. mRNA
2. DNA
3. Protein
4. Protein DNA interaction

Correct answer: 1. mRNA

Explanation: Northern Blotting shows a blotting technique that can determine the size of an mRNA and tell us about its expression patterns. Ref: Harper's Illustrated Biochemistry 27th Edition, Page 409, 410; Cell Biology: A Short Course By Stephen R. Bolsover, Elizabeth A. Shephard, Hugh A. White, Jeremy S. Hyams, 2011, Page 113.